A small girl with neuropsychiatry symptoms has a habit of licking paint in walls .Symptoms due to inhibition of
1. ALA dehydratase
2. ALA synthase
3. Heme oxygenase
4. CPG oxidase

Correct answer: 1. ALA dehydratase

Explanation: It is a case of lead poisoning. Specifically, lead decreases heme biosynthesis by inhibiting aminolevulinic acid dehydratase (ALAD) and ferrochelatase. patients presents with microcystic hypochromic anemia.